A survey was conducted and it was found that out of 7,000 drivers using mobile, 700 met with accident. And in the same period out of 3,000 drivers without using mobile, only 30 met with accident. Calculate the relative risk:
1. 5
2. 10
3. 3.99
4. 8.339

Correct answer: 2. 10

Explanation: Ans. B i.e. 10 Relative risk: Incidence of disease (or death) among exposed/Incidence of disease (or death) among non-exposed Mobile users while driving Accident No Accident Total Yes 700 (a) 6300 (b) 7000 (a + b) OM. No 30 (c) 2970 (d) 3000 (c + d) Incidence rates: Among mobile users: 700/7000 = 100 per 1000 Among non-mobile users: 30/3000 = 10 per 1000 So RR of accidents = 10/ 1 = 10